Optimal timing of administration of prophylactic antibiotic for surgical patients is
1. at the induction of anesthesia
2. any time during surgical procedure
3. one hour after induction
4. one hour prior to induction of anesthesia

Correct answer: 1. at the induction of anesthesia